ANOVA is-
1. Parametric test
2. Non parametric test
3. Qualitative test
4. None

Correct answer: 1. Parametric test

Explanation: Ref:Parks 23rd edition pg 852 It is a Quantitative test/Metric test. Tests of significance: Qualitative: Chi- square : 2 or more than 2 groups Mc Nemar test : 1 group. ( before and after intervention) Quantitative: Paired T test: 1 group Student T test/ unpaired T test: 2 groups Anova: more than 2 groups.